A right-hand dominant person presents with Broca's Aphasia. This is likely to result from damage to
1. Left inferior frontal gyrus
2. Right inferior frontal gyrus
3. Left superior temporal gyrus
4. Right superior temporal gyrus

Correct answer: 1. Left inferior frontal gyrus

Explanation: Broca's Aphasia results from damage to inferior frontal gyrus of the dominant hemisphere. The patient is right handed so the left hemisphere, will be the dominant one. Thus most probable location of the lesion is left inferior frontal gyrus. Broca's Aphasia Motor Aphasia/Expressive aphasia) Wernicke's Aphasia (Receptive aphasia/Sensory Aphasia) Inferior frontal gyrus (Dominant hemisphere) Supramarginal gyrus of parietal lobe Upper part of temporal lobe Aphasia occur when the lesion in the dominant (usually left) hemisphere. Ref: Guyton and Hall Text of Medical physiology 25th edition